What enhances multiplication of T cells in culture -
1. Phytohemagglutinin
2. Chemotactic factor
3. Leukotrienes
4. Prostaglandins

Correct answer: 1. Phytohemagglutinin

Explanation: Phytohemagglutinin: an initiator of mitosis in cultures of normal human leukocytes mainly T-cells Reff: www.mayoclinic.com